Fat soluble vitamin with antioxidant effect -
1. Vitamin A
2. Vitamin D
3. Vitamin E
4. Vitamin K

Correct answer: 3. Vitamin E

Explanation: Ans. is 'c' i.e., Vitamin E* Vitamin E is a lipid phase chain breaking antioxidant.* Chain breaking antioxidants are molecules which can donate an electron or accept electron from unstable intermediates of lipid peroxidation converting them into stable intermediates.* a tocopherol reacts with peroxyl radical to form tocopheroxyl radical with excess charge associated with extra electron being distributed along the chromane ring. Also it is fat soluble vitamin. Hence it is a lipid phase chain breaking antioxidant* The other vitamin which is an antioxidant is vitamin C or ascorbic acid. It is an aqueous phase chain breaking antioxidant.* Vitamin C can scavenge many superoxide radicals. Most importantly it helps by regenerating tocopherol after it is oxidised during the process of reducing peroxyl radicals.